Which is true of alveolar bone
1. Most stable of the periodontal tissues
2. It is in a constant state of flux
3. It is not regulated by systemic and local influences
4. All of the above

Correct answer: 2. It is in a constant state of flux